Least commonly seen in conduct disorder seen in girls:-
1. Run away from home
2. High risk sexual behavior
3. Physical aggression
4. Emotional bullying

Correct answer: 3. Physical aggression

Explanation: Conduct disorder - Persistent pattern of antisocial behavior in which the individual repeatedly breaks social rules and carries out aggressive acts.in conduct disorder they do it deliberately usually characterized by aggression and violation of the rights of others boys with conduct disorder show physical & relationship aggression but In girls relationship aggression is more predominant than physical aggression children with conduct disorder usually have behaviors characterized by aggression to persons or animals, destruction of property, deceitfulness or theft, and multiple violations of rules, such as truancy from school.